The very first step in investigation of Epidemic
1. Confirmation of existence of epidemic
2. Verification of diagnosis
3. Development of epidemiological case sheet
4. Formulation of Hypothyesis

Correct answer: 2. Verification of diagnosis

Explanation: INVESTIGATION OF AN EPIDEMIC The occurrence of an epidemic always signals some significant shift in the existing balance between the agent, host and environment. It calls for a prompt and thorough investigation of the cases to uncover the factor(s) responsible and to guide in advocating control measures to prevent further spread. Emergencies caused by epidemics remain one of the most important challenges to national health administrations. Epidemiology has an important role to play in the investigation of epidemics. The objectives of an epidemic investigation are a. to define the magnitude of the epidemic outbreak or involvement in terms of time, place and person. b. to determine the particular conditions and factors responsible for the occurrence of the epidemic. c. to identify the cause, source(s) of infection, and modes of transmission to determine measures necessary to control the epidemic; and d. to make recommendations to prevent recurrence. Steps of investigations of epidemic Verification of diagnosis Confirmation of existence of epidemic Defining population at risk Rapid search for all cases and their characteristics Data analysis Formulation of hypothesis Testing of hypothesis Evaluation of ecological factors Further investigation of population at risk Writing the report Ref : Park 23rd edition Pgno : 132